Which of the following is an example of Type 3 hypersensitivity
1. Asthma
2. Contact dermatitis
3. SLE
4. AIHA

Correct answer: 3. SLE

Explanation: Ref: Chapter 5; Robbins, 8th edHypersensitivity reactionsType I (IgE mediated)Type II (IgG, IgM and complement mediated)* Eczema* Hay fever* Asthma atopy* Urticaria* Anaphylactic shock* Acute dermatitis* Theobald smith phenomenon* Prausnitz Kustner (PK) reaction* Casoni's test* Schultz-Dale phenomenon* Blood transfusion reactions* Erythroblastosis fetalis* AIHA or thrombocytopeniaor agranulocytosis* Pemphigus vulgaris* Good pasture syndrome* Bullous pemphigoid* Pernicious anemia* Acute rheumatic fever* Diabetes mellitus* Graves disease* Myasthenia gravis Type III (IgG, IgM, complement and leucocyte mediated)Type IV (Cell mediated)* Local-Arthus reaction* Systemic-serum sickness* Schick test* Polyarteritis nodosa (PAN)* SLE* Acute viral hepatitis* Penicillamine toxicity* Hyperacute graft rejection* Type 2 lepra reaction (ENL)* Hypersensitivity pneumonitis* R.A* Infective endocarditis* Henoch schonlein purpura* Tuberculin test* Lepromin test* Sarcoidosis* Tuberculosis* Contact dermatitis* Granulomatous inflammatin* Type I lepra reaction* Patch test* Temporal arteritis* Jones mote reaction (cutaneous basophilic HSN)* Graft rejection* Fairleys test* Frie's test